Which of the following is the only reversible cataract:
1. Senile cataract
2. Cataract in galactosemia
3. Congenital cataract
4. None

Correct answer: 2. Cataract in galactosemia

Explanation: Ans. Cataract in galactosemia